Cremaster is supplied by
1. Sacral plexus
2. Femoral branch of genitofemoral nerve
3. Genital branch of genitofemoral nerve
4. Femoral nerve

Correct answer: 3. Genital branch of genitofemoral nerve

Explanation: Cremaster muscle Lies in scrotum Sensory supply to cremaster Laterally -Femoral Branch of genitofemoral nerve Medially - Ilioinguinal nerve Motor supply to cremaster Genital branch of genitofemoral nerve